Toxin causing endemic ascites
1. BOAA
2. Pyrrolizidine alkaloids
3. Aflatoxin
4. Sanguinarine

Correct answer: 2. Pyrrolizidine alkaloids